Epidemic dropsy-
1. Aflatoxins
2. Sanguinarine
3. Monooxylates
4. Claviceps

Correct answer: 2. Sanguinarine

Explanation: Epidemic dropsy is caused my argemone oil containing the toxic alkaloid sanguinarine.This toxic substance interfere with the oxidation of pyruvic acid which accumulates in the blood.(Ref.PARK'S textbook of social and preventive medicine 21st edition page.no.608)